Tetracyline ointment for mass prophylaxis-
1. 0.10%
2. 0.50%
3. 1%
4. 5%

Correct answer: 3. 1%

Explanation: Tetracyclines:These are broad-spectrum bacteriostatic agents with a considerable action against both gram-positive and gram-negative organisms as well as some fungi, rickettsiae and chlamydiae. This group includes tetracycline, chlortetracycline and oxytetracycline. ref: A K KHURANA OPHTALMOLOGY,E4, Page-420